A case of carcinoma cervix is found in altered sensorium and is having hiccups, likely cause is:
1. Septicemia
2. Uremia
3. Raised ICT
4. Hypotension

Correct answer: 2. Uremia

Explanation: Most common cause of death in Ca cervix is Uremia Hemorrhage and Infection are the next most common causes Other symptoms Abnormal Bleeding Post Coital Bleeding Post Menopausal Bleeding Foul smelling discharge Cancer Cachexia Cancer pain Pyometra Uremic Symptoms PET CT is used for nodal metastasis diagnosis